Compared with cow's milk, mother's milk has more-
1. Lactose
2. Vitamin D
3. Proteins
4. Fat

Correct answer: 1. Lactose

Explanation: Ans. is 'a' i.e., Lactose Lactose (g) Cow's milk 4.4 Human milk 7.4 Proteins (g) 3.2 1.1 Fat (g) 4.1 3.4 Calcium (mg) 120 28 Iron (mg) 0.2 1.0 Water (g) 87 Energy (Kcal) 67 65